Which of the following is a paraphilia?
1. Fetishism
2. Sadism
3. Masochism
4. All the above

Correct answer: 4. All the above

Explanation: Ans. is 'd' i.e.. All of the above Disorder of sexual preference (Paraphilias)o Paraphilias are abnormalities of sexual preference and include deviations in the choice of the sexual object and deviations in the choice of sexual act.1) Abnormalities in choice of the sexual object: - The objects chosen for achieving sexual excitment may be : -Inanimate objects (Shoes or garments of the other sex) --* Fetishism.Animate objects Child fin paedophilia); Animals fin bestiality); dead body fin necrophilia)2) Abnormalities in the sexual act: - Here the methods chosen for sexual arousal and gratification are deviant. These may beExhibitionism : - Exposure of one's genital organs to strangers or others.Voyeurism Watching sexual activity of other people or the body parts of members of opposite sex.Sadism Sadism involves infliction of pain or humiliation on the partner (e.g., whipping, beating, strangulation, etc.)Masochism It is opposite to sadism, i.e., sexual excitment is achieved by self-inflicted pain by the sexual partner (e.g., being whipped, beaten, strangulated etc).Frotterurism : - Fondling or rubbing against the body of unfamiliar women in public places followed by masturbation.